Approximate time interval between HIV infection and development of AIDS is
1. 7.5 years
2. 10 years
3. 12 years
4. 15 years

Correct answer: 2. 10 years

Explanation: HIV 1 (India)- 10 years HIV 2 (Africa)- 15 years